Cullen's sign
1. Bluish disclolouration of the flanks
2. Bluish discolouration in the umbilicus
3. Migratory thrombophelebitis
4. Subcutaneous fat necrosis

Correct answer: 2. Bluish discolouration in the umbilicus

Explanation: Cullen's sign seen in acute pancreatitis due to enzymes seeping through falciform ligament and causing discolouration around umbilicus SRB,5th,683.